A pregnant 35 yrs old patient is at highest risk for the concurrent development of which of the following malignancies?
1. Cervix
2. Ovary
3. Uterus
4. Vagina

Correct answer: 1. Cervix

Explanation: Benign neoplasms are common in the female reproductive tract and include leiomyomas, ovarian neoplasms, and endocervical polyps. Malignancies of these organs are the most frequent cancers encountered in pregnant women, and of these, cervical cancers make up the majority.